Which drug is not metabolized by acetylation
1. Isoniazide
2. Dapsone
3. Hydralazine
4. Metoclopropramide

Correct answer: 4. Metoclopropramide

Explanation: Impotant drug metabolised by acetylation are S- Sulphonamides including dapsone H-Hydralazine I-Isoniazide P-procainamide Ref-KDT 7/e p24